True statement regarding non-coagulase staphylococci is:
1. They are non-pathogenic
2. They commonly infect indwelling prosthesis
3. They may cause scarlet fever
4. They are separated by gram staining

Correct answer: 2. They commonly infect indwelling prosthesis

Explanation: Ans. is 'b' i.e., They commonly infect indwelling prosthesis(Ref: Ananthanarayan, 9th/e, p. 206 and 8th/e, p. 202; Harrison, 18th/e, p. 1167 and 17th/e, p. 878)* Coagulase negative staphylococci (staph epidermidis) has a predilection for growth on the implanted foreign bodies such as artificial heart valves, shunts, intravascular catheters and prosthetic appliances leading to bacteremia.